A 32 year old female patient is 38 weeks pregnant. She begins to experience severe abdominal pain and has to undergo an emergency C-section. The infant shows signs of respiratory distress in the delivery room and there was difficulty in passing nasogastric tube through nares of the child. What would be the diagnosis for this infant?
1. CHARGE syndrome
2. Pierre Robin syndrome
3. Stickler syndrome
4. Potter syndrome

Correct answer: 1. CHARGE syndrome